An autoclave sterilizes dental instruments by causing which of the following?
1. Coagulation and Denaturation of proteins.
2. Oxidative damage.
3. Precipitation of nucleic acids.
4. Disruption of cell membranes.

Correct answer: 1. Coagulation and Denaturation of proteins.

Explanation: Autoclave functions by causing coagulation and denaturation of proteins. They are effective against spores.